Which of the following plasma levels increase markedly in starvation?
1. Glucose
2. Nonesterified fatty acids
3. Ketone bodies
4. All the above

Correct answer: 3. Ketone bodies

Explanation: There is a small fall in plasma glucose in the fasting state, and then little change as fasting is prolonged into starvation. Plasma nonesterified fatty acids increase in fasting but then rise little more in starvation. As fasting is prolonged, the plasma concentration of ketone bodies (acetoacetate and 3-hydroxybutyrate) increases markedly. Reference: Harper; 30th edition; Chapter 14; Page no: 148